Which one of the following is not a normal anatomical feature of mandibular incisors?
1. Bifurcated roots.
2. Inconspicuous cingula.
3. Four developmental lobes.
4. Incisal edges placed slightly lingually.

Correct answer: 1. Bifurcated roots.

Explanation: Bifurcated roots are not a normal feature of mandibular incisors.